Pseudopolyps are typically seen in:
1. Crohn's disease
2. Ulcerative colitis
3. Celiac disease
4. Tropical sprue

Correct answer: 2. Ulcerative colitis

Explanation: Answer is B (Ulcerative colitis) Pseudopolyps are typically seen in Ulcerative colitis.